Typhoid Mary his known in history to cause more than 1300 cases in her lifetime. This is an example of which of the following epidemic?
1. Common source single exposure epidemic
2. Common source continuous or repeated exposure epidemic
3. Long term or secular trend epidemic
4. Propagated epidemic

Correct answer: 2. Common source continuous or repeated exposure epidemic

Explanation: Here the carrier, infected people over a period of time and hence there was no explosive rise in patient cases. But over a long duration many people were affected. So it is a Common source continuous or repeated exposure epidemic. Ref: Park's Textbook of Preventive Medicine, 17th Edition, Page 56.